All are neuroglial cells in CNS EXCEPT
1. Astrocytes
2. Microglia
3. Oligodendrocytes
4. Troposomes

Correct answer: 4. Troposomes

Explanation: (Troposomes) (63 - 64 - Ganong 22nd) (- Ganong 23rd)FUNCTIONS OF NEUROGLIAL CELLSASTROCYTESMICROGLIAOLIGODENDEOCYTES* The astrocytes twist around the nerve cells and form the supporting network in brain and spinal cord* Astrocytes form the basis of BBB and there by regulates the entry of substances* Microglia are phagocytic in functions* Microglia and cellular debris are engulfed and destroyed by the microgliaOligodendrocytes are responsible for the formation of myelin sheath, around the nerve fibres in CNS because Schwann cells are absent there